Which of the following is NOT a complication after sclerotherapy (by endoscopy)?
1. Hepatic encephalopathy
2. Perforation
3. Stenosis
4. Fibrosis

Correct answer: 1. Hepatic encephalopathy

Explanation: Hepatic encephalopathy as a complication of endoscopic sclerotherapy is unlikely. It is common with TIPS (transjugular intrahepatic portosystemic shunting) Complications of endoscopic sclerotherapy are: 1. Esophageal ulceration: which may bleed and perforate 2. Mediastinitis 3. Pleural effusion 4. Pulmonary edema 5. Late strictures Ref: Sabiston 18/e, 1212